Which of the following is the allosteric activator of carbamoyl phosphate synthase I?
1. Glutamine
2. Oxaloacetate
3. N-acetyl aspartate
4. N-acetyl glutamate

Correct answer: 4. N-acetyl glutamate

Explanation: Carbamoyl phosphate synthase I is the rate-limiting enzyme of the urea cycle Active only in the presence of N-acetylglutamate(NAG), an allosteric activator that enhances the affinity of the synthase for ATP. Arginine is the allosteric activator of NAG synthase.